Which of the following drug is a potassium channel opener
1. Nifedipine
2. Minoxidil
3. Enalapril
4. Atenolol

Correct answer: 2. Minoxidil

Explanation: Refer kDT 7/e p 567 Diazoxide vasodilator used for hypertension, smooth muscle relaxing activity. Minoxidil vasodilator used for hypertension, also used to treat hair loss. Nicorandil vasodilator used to treat angina. Pinacidil.... Aprikalim. Bimakalim. Cromakalim. Diazoxide. Emakalim. Levcromakalim.